All of the following drugs are commercially marketed as racemic mixture except-
1. Bupivacaine
2. Thiopentone
3. Ropivacaine
4. Thiamylal

Correct answer: 3. Ropivacaine

Explanation: Ropivacaine is pure s-isomer of bupivacaine. Enantiomers exist in two different spatial configurations, like right- and left-handed gloves, and are present in equal amounts in a racemic solution. They are optically active and can be differentiated by their effects on the rotation of the plane of a polarised light into dextrorotatory or levorotatory stereoisomers. The physicochemical properties of the two enantiomeric molecules are identical, but the two enantiomers can have substantially different behaviours in their affinity for either the site of action or the sites involved in the generation of side effects. R(+) and S(-) enantiomers of local anaesthetics have been demonstrated to have different affinity for different ion channels of sodium, potassium, and calcium; this results in a significant reduction in central nervous system (CNS) and cardiac toxicity (cardiotoxicity) of the S(-)enantiomer as compared with the R(+)enantiomer. The technological advancements have made it possible to develop Ropivacaine as an optically pure S(-) enantiomeric from the parent chiral molecule propivacaine. It belongs to the group of local anaesthetics, the pipecoloxylidides and has a propyl group on the piperidine nitrogen atom compared to bupivacaine, which has a butyl group.